III nerve palsy causes all of the following except -
1. Ptosis
2. Mydriasis
3. Medial deviation of eyeball
4. Pupillary reflex lost

Correct answer: 3. Medial deviation of eyeball

Explanation: Features of 3rd(occulomotor) nerve palsy

Paralysis of superior rectus, inferior rectus, medial rectus and inferior oblique. Eye is down and out due to unopposed action of superior oblique and lateral rectus. Medial & upward gaze is not possible.
Paralysis of sphinctor pupillae → Loss of ipsilateral direct and consensual pupillary light reflex and there is
mydriasis.
Paralysis of ciliary muscle → Paralysis of accommodation.
Two extraocular muscles are spared :-



Superior oblique: - Intorsion, abduction and depression remain active.
Lateral rectus: - Abduction remains active. So eye is deviated lateraly.

Paralysis of levator palpabrae superioris → Ptosis